Granulomatosis hepatitis is not caused by:
1. Blastomycosis
2. Metastatic carcinoma
3. Tuberculosis
4. Cat scratch disease

Correct answer: 2. Metastatic carcinoma

Explanation: Granulomatous hepatitis is a cause of pyrexia of unknown origin and granulomas are picked up on CT scan or USG abdomen. It is associated with infections like tuberculosis, cat scratch disease, blastomycosis, histoplasmosis.